Drug inhibiting bacterial protein synthesis are all except-
1. Aminoglycosides
2. Chloramphenicol
3. Clindamycin
4. Sulfonamides

Correct answer: 4. Sulfonamides

Explanation: Ans. is `d' i.e., Sulfonamides o Sulfonamides affect intermediary metabolism by inhibiting folate synthase.